Which of the following is recommended for bilateral
premature exfoliation of mandibular canines?
1. Nance appliance
2. Lingual arch
3. Band and loop
4. Distal shoe appliance

Correct answer: 2. Lingual arch

Explanation: Fixed Lingual Arch/Lingual Holding Arch
This is a non-functional, passive fixed space maintainer.
Indications:

Where there is bilateral loss of deciduous molars, a fixed lingual arch is often most satisfactory.
Multiple loss of primary teeth in the mandibular arch. 

Removable distal shoe space maintainer 
This is devised by Starkey. It is indicated in unilateral or bilateral early loss of primary second molar before the eruption of permanent first molar.
Nance space holding appliance is a non-functional passive type of fixed space maintainer. It is used in maxillary arch for bilateral space maintenance.
Band and bar, band and loop, band or crown and loop maintainer, cantilever maintainer to prevent the mesial migration of the first permanent molar.